Fluroide ions act by inhibiting -
1. Enolase
2. Hexokinase
3. Cytochrome oxidase
4. Carbonic anydrase

Correct answer: 1. Enolase

Explanation: A i.e. Enolase